Insulin promotes lipogenesis by all of the following ways except:
1. Decreasing intracellular cAMP
2. Increasing the transport of glucose into the cell
3. Inhibits pyruvate dehydrogenase
4. Increases activity of acetyl-CoA carboxylase

Correct answer: 3. Inhibits pyruvate dehydrogenase

Explanation: C i.e. Inhibits Pyruvate dehydrogenase